Splenectomy is not indicated for
1. Sarcoidosis
2. ITP
3. Trauma
4. Hereditary Spherocytosis

Correct answer: 1. Sarcoidosis

Explanation: Ans. (a) SarcoidosisRef Bailey And Love 27th edition Page 1185 Indications for SplenectomyTraumaHematologicalOncologicalPortal hypertension* Accidental* Operative trauma* HereditarySpherocytosis* ITP* Hypersplenism* Part of En bloc Resection in Gastrectomy or pancreatectomy* Diagnostic for Lymphoma* Therapeutic for spleen tumors* Part of Shunt operations and Variceal surgery* PSRS shunt* Sugiura operation